Schwartz operation is done in -
1. CSOM
2. Serous otitis media
3. Otosclerosis
4. Acute mastoiditis

Correct answer: 4. Acute mastoiditis

Explanation: Indications of simple / cortical mastoidectomy (Schwartz operation)

Acute coalescent mastoiditis.
Incompletely resolved acute otitis media with reservoir sign.
Masked mastoiditis.
As a initial step to perform:


Endolymphatic sac surgery
Decompression of facial nerve
Translabyrinthine or retrolabyrinthine procedures for acoustic neuroma.